Damage to median nerv e produces -
1. Claw hand
2. Winging ofscapule
3. Ape thumb
4. Wrist drop

Correct answer: 3. Ape thumb

Explanation: Ans. is 'c' i.e., Ape thumbDeformity' or disorderNerve involvedo Wrist dropo Radial nerveo Foot dropo Common peroneal nerve (Lateral popliteal)o Claw hand (complete)o Ulnar + Median nerveo Ulnar claw hando Ulnar nerveo Ape thumb deformityo Median nerveo Pointing indexo Median nerveo Policeman tip deformity'o Erb's Palsy (Brachial plexus)o Winging of scapulao Long thoracic nerve (nerve to SA)o Meralgia parestheticao Lateral cutaneous nerve of thigh